Choroidal Neovascular Membrane (CNV) are associated with all except:
1. Trauma
2. Myopia
3. Angioid streaks
4. Hypermetropia

Correct answer: 4. Hypermetropia

Explanation: D i.e. Hypermetropia Causes of Choroidal Neovascularization/ Neovascular Membrane Age related macular degenerationQ (neovascular type) Angioid streaksQ (i.e., crack like dehiscence in thickened, calcified & abnormally brittle collagenous & elastic Bruch membrane) - Best's disease - Choroidal osteoma - Choroidal rupture (traumatic)(2 - Multifocal choroiditis - Myopia (pathological/ progressive)Q Fundus flavimaculatus - Idiopathic - Ocular histoplasmosis - Optic disc drusen - Optic nerve head pits - Pattern dystrophies - Photocoagulation Sarcoidosis - Serpiginous (geographic) choroiditis - Toxoplasmic retinochoroiditis Bruch's membrane separates retinal pigmentary epithelium from choriocapillaries.